The term placental sign denotes :
1. Alteration of FHR on pressing the head into the pelvis
2. Spotting on expected date of period in early months of pregnancy
3. Permanent lengthening of the cord in 3 rd stage of labour
4. Slight gush of bleeding in 3 rd stage of labour

Correct answer: 2. Spotting on expected date of period in early months of pregnancy

Explanation: All the pregnant females have amenorrhea . In a few pregnant females however, cyclic bleeding occurs upto 12 weeks of pregnancy i.e,until the decidual space is obliterated by the fusion of decidua vera with decidua capsularis. Such bleeding is usually scanty, lasting for shorter duration than the usual cycle and roughly corresponds with the date of the expected period. This is called placental sign. Ref:Datta Obs 9e pg 60.